All are steps of investigation of an epidemic except:
1. Verify the diagnosis
2. Before starting investigation, inform the media
3. Formulation of hypotheses
4. Confirmation of the existence of an epidemic

Correct answer: 2. Before starting investigation, inform the media

Explanation: Ans: b. Before starting....Investigation of an Epidemic aln Steps Park 23rd/ 131-33Verification of diagnosisConfirmation of existence of an epidemicDefining the population at-riskRapid search for all cases & their characteristicData analysisFormulation of hypothesesTesting of hypothesesEvaluation of ecological factorsFurther investigation of population at riskWriting the report